Which of the following are true -a) Tracheo-bronchial cartilage is fibrousb) Thyroid cartilage is hyalinec) Cricoid cartilage is hyalined) Corniculate cartilage is elastice) Epiglottis cartilage is elastic
1. bce
2. abd
3. bcde
4. acde

Correct answer: 3. bcde

Explanation: Tracheobronchial cartilage is hyaline cartilage.